Bernad-Soulier Syndrome is characterised by which of the following
1. Defect in GPIb -IX
2. Defect in GPIIb - III a
3. Deficiency of dence granules
4. Deficiency of VWF

Correct answer: 1. Defect in GPIb -IX

Explanation: Bernad-Soulier Syndrome

Inherited defect in Glycoprotein = GPIb - IX
Functional platelet defect.
Defective adhesion of platelets.